Which vitamin is required for glucose 6 phosphate dehydrogenase?
1. Riboflavin
2. Thiamine
3. Niacin
4. Biotin

Correct answer: 3. Niacin

Explanation: Niacin - pyridine derivative. Coenzyme forms - NADP+, NAD+ The coenzymes NAD+ and NADP+ are involved in a variety of oxidation-reduction reactions Selected example of NAD+ & NADP+ dependent enzyme NAD+ Enzyme Coenzyme Isocitrate dehydrogenase NAD+ a- Ketoglutarate dehydrogenase NAD+ Glucose 6-phosphate dehydrogenase NADP+ Malate dehydrogenase NAD+ Glutamate dehydrogenase NAD+ Glyceraldehyde 3-phosphate dehydrogenase NAD+ or NADP+ Lactate dehydrogenase NAD+ Alcohol dehydrogenase NAD+ NOTE: Niacin causes hyperglycemia. Niacin induces pancreatic islet dysfunction through activation of the islet beta-cell G-coupled protein receptors that mediate peroxisome proliferation and increase reactive oxygen species. It also decreases glucose-stimulated insulin secretion. Thus, it increases the blood glucose level and is contraindicated in diabetics.